8000 rads dosage in Cancer cervix is given to -
1. Point A
2. Point B
3. Side walls of pelvis
4. None of the above

Correct answer: 1. Point A

Explanation: Ans- A a. External beam via cobalt or linear accelerator & brachytherapy (e.g. Radium, cobalt or cesium) are used in the treatment of carcinoma cervix. b. The radium dosage is calculated with respect to the amount of irradiation received at 2 theoretical points a & b. c. Point a lies 2cm above & 2cm lateral to the base of the radium tube in the cervical canal. It approximates to the position in the pelvis where the uterine artery & ureter cross. d. Point b lies 3cm lateral to point a & roughly corresponds to the position of obturator nodes. e. 8000 rads is the dosage given to point a in cancer cervix. f. The manchester method of radiotherapy for a ca cervix is a variation of the stockholm technique & uses rubber avoids loaded with radium in plate of the platinum boxes for vaginal vault.